Which is false of Horse shoe Kidney ?
1. Spider like appearance in IVP
2. Ureteral Obstruction is common
3. Lower calyx is reversed
4. All

Correct answer: 1. Spider like appearance in IVP

Explanation: Ans. is 'a' i.e. Spider like appearance in IVP